Features of opoid withdrawl are all except
1. Diarrhoea
2. Lacrimation
3. Miosis
4. Rhinorrhoea

Correct answer: 3. Miosis

Explanation: C i.e. Miosis - Morphine & codeine are natural opium alkaloids. Diacetyl morphine (heroin), oxymorphone, hydromorphone, oxycodone, hydrocodone and pholcodeine are semisynthetic opiates. Pethidine (meperidine), methadone, dextropropoxyphene, tramadol, fentanyl, alfentanil, sufentanil, remifentanil, levorphanol, dextromoramide, dipipanone are synthetic opioids. Heroin is the most commonly abused/ addicted opioid. Diagnostic criteria for opioid intoxication include development of clinically significant maladaptive behaviour or psychological change (eg initial euphoria f/b apathy, dysphoria, psychomotor agitation or retardatin, impaired judgement/social or occupational functioning) and pupillary constriction (or pupillary dilation d/t anoxia from severe overdose) along with >1 of the following signs all developing during, or shol after opioid use: 1) Drowsiness or coma; 2) Slurred speech; 3) Impairment of attention or memory. - Miosis (pin point pupil) and constipation is caused by opioid use, so on withdrawal of opioid opposite i.e. mydriasis & diarrhea occursQ. - YawningQ, dysphoric mood & insomniaQ with water loss from different orifices (i.e. lacrymation, sweating, diarrhoea, vomiting, rhinorrheaQ), and autonomic symptoms (led BP, PR, RR & temperature) and piloerectionQ are characteristic symptoms of opioid withdrawl.